Complications of lobar pneumonia does not include
1. Lung abscess
2. Amyloidosis
3. Suppurative arthritis
4. Infective endocarditis

Correct answer: 2. Amyloidosis